Alopecia areata is treated by-
1. Minoxidil
2. Tranquilizers
3. Whitfields oinment
4. Parenternal penicillin

Correct answer: 1. Minoxidil

Explanation: A. i.e. Minoxidil